A 55 year old female comes to the eye casualty with history of severe eye pain, redness and diminished vision. On examination, the visual acuity is 6/60, there is circumcorneal congestion, corneal oedema and a shallow anterior chamber. Which of the following is the best drug of choice –
1. Atropine ointment
2. IV mannitol
3. Ciprofloxacin eye drops
4. Betamethasone eye drops

Correct answer: 2. IV mannitol

Explanation: Approach in acute congestive glaucoma 

Start i.v. mannitol or i.v. acetazolamide
When IOT starts falling, start topical pilocarpine or β-blocker (timolol).
Apraclonidine/latanoprost may be added.
Once i.o.t. is reduced, surgery is done.